All of the following are tumor necrosis factor blocking agents, except :
1. Adalimumab
2. Eternacept
3. Infliximab
4. Abciximab

Correct answer: 4. Abciximab